Periphery of retina is best visualized with :
1. Direct ophthalmoscopy
2. Indirect ophthalmoscopy
3. Retinoscopy
4. USG

Correct answer: 2. Indirect ophthalmoscopy

Explanation: Indirect ophthalmoscopy can be used to examine the entire retina, even out to its extreme periphery, the ora serrata. This is possible for two reasons. Optical distortions caused by looking through the peripheral lens and cornea interfere very little with the indirect ophthalmoscopic examination compared with the direct ophthalmoscope. In addition, the adjunct technique of scleral depression can be used. Ref : Chang D.F. (2011). Chapter 2. Ophthalmologic Examination. In P. Riordan-Eva, E.T. Cunningham, Jr. (Eds), Vaughan & Asbury's General Ophthalmology, 18e.